Shortest diameter is :
1. Diagonal conjugate
2. Obstetric conjugate
3. True conjugate
4. All are equal

Correct answer: 2. Obstetric conjugate

Explanation: Obstetric conjugate